Screening of retina in Non - insulin dependent diabetes mellitus starts after
1. Start after 5 years
2. Start after 6 years
3. Start immediately
4. Start after 3 months

Correct answer: 3. Start immediately

Explanation: NIDDM - start immediately.
IDDM - start within 5 years.